Ranitidine differs from cimetidine in the following respec:
1. It is less potent
2. It is shorter acting
3. It does not have anti-androgenic action
4. It produces more CNS side effects

Correct answer: 3. It does not have anti-androgenic action

Explanation: (Ref: KDT 6/e p629) Cimetidine is rarely used now because: It is the leat potent H2 blocker It is a short acting agent It is a potent inhibitor of microsomal enzymes It can cause gynaecomastia It produces more CNS adverse effects